An unstable and emotional temporary social group with a leader is known as -
1. A band
2. A crowd
3. A herd
4. A mob

Correct answer: 4. A mob

Explanation: Ans. is 'd' i.e. A mob o Crowd and mob are related terms. o Crowd means a large number of persons gathered together. A crowd can be a crowd of random people doing different things or it may be people with one intent or purpose. o Mob is highly emotional crowd whose members have with one intent or purpose and are enganged in or are ready to engage in, violence against specific target: a person. a category of people or physical property.